Carcinoma cervix la1 is :
1. < 3 mm depth
2. < 7 mm depth
3. > 3 mm depth
4. > 7 mm depth

Correct answer: 1. < 3 mm depth

Explanation: < 3 mm depth